Negri bodies are characteristic of:- `
1. Tetanus
2. Rabies
3. Polio
4. AIDS

Correct answer: 2. Rabies

Explanation: Negri bodies are seen in the Pyramidal neurons within Ammon's horn of the Hippocampus and Purkinje cells in the cerebellar cortex on postmortem of the rabied person.